Which of the following is infectious protein -
1. Avidin
2. Prion
3. Tau protein
4. None

Correct answer: 2. Prion

Explanation: Ans. is 'b' i.e., Prion o Prions are infectious particle which contains protein onlyo They do not have nucleic acid.